Eating disorder with normal weight is?
1. Anorexia nervosa
2. Bulimia nervosa
3. Binge eating disorder
4. None of the above

Correct answer: 2. Bulimia nervosa

Explanation: Ans. B. Bulimia nervosaAnorexia nervosa - Under weightBulimia nervosa - Normal WeightBinge eating disorder - Over weight.